Involvement of sweat gland, dermal appendages, and hair follicles with epitheloid granuloma are typical features of which of the following?
1. Lichen Scrofulosum
2. Miliary TB
3. Papulonecrotic type
4. Lupus vulgaris

Correct answer: 1. Lichen Scrofulosum

Explanation: A i.e. Lichen scrofulosorum Tuberculids is hypersensitivity reaction to mycobacterium tuberculosis, where the evidence of etiology is not definite but show tubercular granuloma on histology & a positive response to antitubercular treatment. - Lichen scrofulosorum & papulonecrotic tuberculide are two definite (true) tuberculidesQ. Papulonecrotic variety is most common and clinically present with chronic, recurrent, symmetrical, necrotizing eruption of papules arising in crops and primarily involving arms & legs. A hallmark is that lesion heals with varioliform scarring. Lichen scrofulosorum is an uncommon asymptomatic lichenoid eruption of minute (0.5-3mm) papules occurring in children and adolescents with strongly positive tuberculin reaction. It mainly involves perifolicular distribution on abdomen, chest, back & proximal limbsQ. A hallmark is that superficial epitheloid dermal granulomas surround hair follicles and sweat ducts and may occupy several dermal papillaeQ.